Contact lens is best used in:
1. High myopia
2. Irregular astigmatism
3. Aphakia
4. Regular astigmatism

Correct answer: 2. Irregular astigmatism

Explanation: Ans. Irregular astigmatism